All are vectors except -
1. Ticks
2. Spider
3. Mosquito
4. Fly

Correct answer: 2. Spider

Explanation: Ticks are the vectors of Q fever, relapsing fever, KFD, Tularemia Mosquito are the vectors of malaria, filaria, Japanese encephalitis, dengue, chikungunya Flies are the vectors of typhoid, diarrhoea,dysentery, cholera, gastroenteritis, anthrax, yaws. Park's Textbook of Preventive and Social Medicine, 25th Edition, Pg 833,834